Which of the following hepatitis virus is transmitted by fecal-oral route-
1. HAV
2. HBV
3. CHV
4. HDV

Correct answer: 1. HAV

Explanation: Ans. is 'a' i.e., HAV VirusModes of transmission1) Hepatitis A2) Hepatitis B3) Hepatitis C4) Hepatitis D5) Hepatitis EFeco-oralPercutaneous, perinatal, sexualPercutaneousPercutaneous, perinatal, sexualFeco-oral